The structure derived from neural crest is
1. Retina
2. Cauda equina
3. Melanocytes
4. Adrenal cortex

Correct answer: 3. Melanocytes

Explanation: The neural crest is the region from where the pigment cells(melanoblasts) of skin develop. Ref: Inderbir Singh's Human embryology; Tenth edition; Pg 327 Mnemonic:SOME GAP S-Schwann cells -Skeleton of face O-odontoblasts M-Meninges(pia and arachnoid) E-Endocardial cushion G-Ganglia(autonomic and dorsal root ganglia) A-Adrenal medulla -Aorticopulmonary septum P-Pigmant cells(melanocytes) -Pharyngeal arches(nerves and cartilage) -parafollicular c cells of thyroid